Which of the following have More Peptidoglycans present in them-
1. Gram negative bacteria
2. Gram positive bacteria
3. Fungi
4. Protoza

Correct answer: 2. Gram positive bacteria

Explanation: Peptidoglycan layer of Gram positive bacteria is thicker (15-18nm) than that of Gram negative bacteria Peptidoglycan layer of Gram negative bacteria is thin (2-3nm) and is bound by the lipoprotein and plasma membrane Ref :Ananthanarayan & paniker's Textbook of microbiology 9th edition pg no 16